A 5-year-old child comes to hospital with history of loose stools but no history of fever or blood in stools. Mother says he is irritable and drinks water if given. On examination eyes are sunken and on Skin pinch test--the skin retracted within two seconds but not immediately. What will be the appropriate management?
1. Administer the first dose of IV antibiotic and immediately refer to higher centre
2. Give oral antibiotics and ORS and ask the mother to continue the same and visit again next day
3. Consider severe dehydration start IV fluids, IV antibiotics and refer to higher centre
4. ORS with zinc for 14 days

Correct answer: 4. ORS with zinc for 14 days

Explanation: This child has acute diarrhea with some dehydration. So, the treatment of choice is ORS with zinc for 14 days. For treatment of some dehydration, 75 ml/kg ORS has to be given over 4 hours.